One of the following drugs is used in the treatment of acute bacterial meningitis:
1. Erythromycin
2. Sulfamethoxazole
3. Ceftriaxone
4. Streptomycin

Correct answer: 3. Ceftriaxone

Explanation: Ans. c. Ceftriaxone